Which of following formula denotes free water clearance?
1. Urine flow rate multiplied by osmolal clearance
2. Urine flow rate minus osmolal clearance
3. Urine flow rate divided by osmolol clearance
4. Urine flow,rate plus osmolal clearance

Correct answer: 2. Urine flow rate minus osmolal clearance

Explanation: Ans. is'b'i.e., Urine flow rate minus osmolal clearanceFree water clearance (CH2O):CH2O = V- Cosm